The BEST indication of a difficult intubation in morbid obesity:
1. Mallampatti Score
2. Neck circumference
3. Limited neck movement
4. Body weight

Correct answer: 2. Neck circumference

Explanation: Factors looked at included: "height, weight, neck circumference, width of mouth opening, sternomental distance, thyromental distance and Mallampati score" * "Logistic regression identified neck circumference as the best single predictor of problematic intubation.In patients with a large neck, the view during direct laryngoscopy was poorer."